Best prognosis is seen in -
1. Ca lip
2. Ca tongue
3. Ca palate
4. Ca floor of mouth

Correct answer: 1. Ca lip

Explanation: Carcinoma of oral cavity 

Most common type of Carcinoma of oral cavity is squamous cell carcinoma
In the oral Cavity, tongue (30%) is the most common site followed by lip (17.4%) and the floor of mouth (16.4%)
The mortality from squamous Carcinoma also varies by site in the mouth, with the lowest mortality from lip Cancer and the highest for Cancer of the Tongue.